An anxiolytic, not interacting with GABAergic system and used in generalized anxiety is
1. Alprazolam
2. Diazepam
3. Buspiron
4. Phenobarbital

Correct answer: 3. Buspiron